Lateral horn of the spinal cord is seen at which level level ?
1. Thoracic
2. Lower lumbar
3. Sacral
4. Cervica

Correct answer: 1. Thoracic

Explanation: The lateral horn of the spinal cord is the small lateral projection of grey matter located between the dorsal horn and ventral horn and contain the neuronal cell bodies of the sympathetic nervous system . It is found from T1 to L2 and contains cell bodies of the preganglionic sympathetic neurons. Ref - sciencedirect.com